Finkelstein test is used for diagnosis of?
1. Thoracic outlet syndrome
2. Carpal tunnel syndrome
3. Tarsal tunnel syndrome
4. De quervain tenosynovitis

Correct answer: 4. De quervain tenosynovitis

Explanation: Ans. (d) De quervain tenosynovitisRef.:Appendix-135 for "Tests used in orthopedics)